True about phenylketonuria is all except
1. Occurs due to deficiency of phenylalanine hydroxylase
2. High amount of phenylpyruvate in urine
3. Failure to talk or walk, seizures and tremurs.
4. Coke coloured urine

Correct answer: 4. Coke coloured urine